Most sensitive test for carpal tunnel syndrome?
1. Phalen's test
2. Tinel's sign
3. Tourniquet test
4. None

Correct answer: 1. Phalen's test

Explanation: Ans. is 'a' i.e., Phalen's test Clinical tests for carpal tunnel syndrome There are some provocative tests which act as important screening methods : ? Wrist flexion (Phalen's test) : - The patient is asked to actively place the wrist in complete flexion. If tingling and numbness develop in the distribution of median nerve, the test is positive. This is the most sensitive provocative test. Tourniquet test : - A pneumatic BP cuff is applied proximal to the elbow and inflated higher than the patient's systolic BP. The test is positive if there is paresthesia or numbness in the region of median nerve distribution in hand. Median nerve percussion test (Tinel's sign) : - The median nerve is gently tapped at the wrist. The test is positive if there is tingling sensation. Median nerve compression test : - Direct pressure is exerted equally over both wrists by the examiner. If symptoms of carpal tunnel syndrome appear, the test is positive.